Which of the following is a good media to use for diagnosis of Legionnaires disease -
1. Thayer Martin Media
2. BCYE agar
3. Bordet Gengu media
4. Chocolate agar

Correct answer: 2. BCYE agar

Explanation: BCYE media: Buffered charcoal yeast extract with cysteine and antibiotics